A patient has asymptomatic painless burrowing ulcer in the palate. He might be suffering from
1. Syphilis
2. Tuberculosis
3. Histoplasmosis
4. Actinomycosis

Correct answer: 1. Syphilis